Which one of the following drugs is not a uterine relaxant?
1. Isoxsuprine
2. Dopamine
3. Salbutamol
4. Terbutaline

Correct answer: 2. Dopamine

Explanation: Isoxsuprine, magnesium, ritodrine, salbutamol, and terbutaline to some extent, atosiban, calcium channel blockers could act as uterine relaxants or tocolytics Ref: KD Tripathi 8th ed